First Investigation of choice in blunt trauma abdomen when the patient first comes to the ER room-
1. CT
2. MRI
3. X-ray abdomen
4. FAST

Correct answer: 4. FAST

Explanation: Ans. is 'd' i.e., FAST